All of the following characteristics differentiate a typical cervical vertebrae from a thoracic vertebrae, EXCEPT:
1. Has a triangular vertebral canal
2. Has foramen transversarium
3. Superior articular facet is directed backwards and upwards
4. Has a large vertebral body

Correct answer: 4. Has a large vertebral body

Explanation: Cervical vertebrae has a small body. Its transverse diameter is greater than the anteroposterior length. Outline of thoracic vertebral body when viewed from above is heart shaped.Features of a typical cervical vertebrae:Each transverse process has foramen transversarium.The spines are short and bifid.Vertebral foramen is large and triangular.Features of thoracic vertebrae:Presence of costal facets on each side of the body for articulation with ribs.Their spinous process are long, slender, and directed downwards.Vertebral foramina is circular.Ref: TEXTBOOK of ANATOMY and PHYSIOLOGY for NURSES ASHALATA By Jaypee Brothers, page 72.